Bence Jones proteins are
1. Light chain
2. Heavy chain
3. Medium chain
4. All of the above

Correct answer: 1. Light chain

Explanation: refer Robbins 9/e p965 Bence Jones proteins are made of light chain